Which of the following is the most common type of pituitary adenoma?
1. Thyrotropinoma
2. Gonadotropinoma
3. Prolactinoma
4. Coicotropinoma

Correct answer: 3. Prolactinoma

Explanation: Pituitary adenomas are the most common cause of pituitary hormone hypersecretion and hyposecretion syndromes in adults. Pituitary adenomas are benign neoplasms that arise from one of the five anterior pituitary cell types. The clinical and biochemical phenotypes of pituitary adenomas depend on the cell type from which they are derived. Thus, tumors arising from lactotrope (PRL), somatotrope (GH), corticotrope (ACTH), thyrotrope (TSH), or gonadotrope (LH, FSH) cells hypersecrete their respective hormones. Hyperprolactinemia is the most common pituitary hormone hypersecretion syndrome in both men and women. PRL-secreting pituitary adenomas (prolactinomas) are the most common cause of PRL levels >200 mg/L. Reference : page 2265-66 Harrison's Principles of Internal Medicine 19th edition